Maximum amount of PUFA is in –
1. Palmitic acid
2. Stearic acid
3. Oleic acid
4. Linoleic acid

Correct answer: 4. Linoleic acid